Focal length of lens is 0.75 m, what will be its refreactive power -
1. 0.75D
2. 1.5D
3. 1.25 D
4. 1.33 D

Correct answer: 4. 1.33 D

Explanation: The most convenient system for ophthalmic purpose is the one which takes a lens with focal distance of 1 meter as standard. Such a lens has a power of 1 dioptre (D). Thus , simple formula to calculate the refreactive power of a lens is - 1 Refractive power (D)= -------------------------------- Focal length (meter) 1 In this question refractive power =---------------------=1.33D 0.75 Reference : Parson's 22nd edition page 47